True about azathioprine is :
1. It has more anti tumor effect than immunosuppressant effect
2. It is not a prodrug
3. It selectively affects differentiation of T cells
4. It is a pyrimidine antimetabolite

Correct answer: 3. It selectively affects differentiation of T cells